Skin pigmentation & Icthyosis like side effects are seen in
1. Rifampicin
2. Clofazimine
3. Dapsone
4. Steroid

Correct answer: 2. Clofazimine

Explanation: Ichthyosis - Fish like scaling (d/t severe dryness in patient) - Causing skin to break Two types - Congenital Acquired I.vulgaris - Autosomal Dominant, MC type Deficiency - Filaggrin Involves Extensors Leprosy - Involvement of ANS No sweating - dry skin X linked ichthyosis - X-linked Recessive defect with steroid sulphatase Extensor + Flexors involvement Clofazimine - Causes darkening and dryness of skin Lamellar ichthyosis - Autosomal Recessive Defect with Transglutaminase Whole body involvement When infant born is covered with Membrane called collodion membrane then baby k/a collodion baby. Most severe type Ichthyosis - Harlequin ichthyosis - Autosomal Recessive- Due to ABCA-12 gene defect